Which of the following condition is characterized by presence pf hyaline deposits in alveolar walls?
1. Interstitial lung disease
2. Asthma
3. Hyaline membrane disease
4. Chronic bronchitis

Correct answer: 3. Hyaline membrane disease

Explanation: Neonates HMD ( Hyaline membrane disease composition:- fibrin ) Respiratory distress syndrome Adults ARDS(Adult respiratory distress syndrome) Usually caused due to damage of endothelial cells Subsequently injury to TYPE 1 and TYPE 2 pneumocytes ARDS:- Characterized by Acute shortness of breath Hypoxemia Diffuse pulmonary infiltrates Diagnosis of ARDS : onset <7 days Non cardiogenic pulmonary edema B/L diffuse infiltrates on chest X-ray Pao2 < 60 mmHg Pao2/Fio2 < 60mmHg Hyaline membrane disease: -Deposition of layer of hyaline proteinaceous material in peripheral airspaces of infants 200-300 (Mild ARDS) 100-200 (Moderate ARDS) < 100 Severe ARDS Causes of RDS: immaturity of lungs (most important substrate on which RDS develops) Occurs in about 60% of infants born <28 wks Occurs in 30% of infants born b/w 28-34 wks Fundamental defect in RDS is deficiency of pulmonary surfactant (predominantly dipalmitoyl phosphatidyl choline smaller amounts of phosphatidyl glycerol) Interstitial lung disease: Predominant involvement of interstitium progressing to fibrosis IOC: HRCT chest Radiological pattern: Reticular pattern CT chest: mild lazy ness K/a ground glass opacity